Hyperphosphatemia is treated by?
1. Calcitonin
2. Sevelamer
3. Magnesium hydroxide
4. Diuretics

Correct answer: 2. Sevelamer

Explanation: Sevelmer is a phosphate binder; decrease serum phosphate concentration without changing calcium, aluminium, or bicarbonate concentration